The graphic plan of all events and activities to be completed in order to reach an end objective is called:
1. Network analysis
2. Cost accounting
3. Work sampling
4. Job catching

Correct answer: 1. Network analysis

Explanation: Network analysis